A man who is chronic alcoholic will develop which type of cardiomyopathy?
1. Hypertrophic cardiomyopathy
2. Dilated cardiomyopathy
3. Pericarditis
4. Myocarditis

Correct answer: 2. Dilated cardiomyopathy

Explanation: Option B: - Binge drinking in alcoholic leads to HOLIDAY HEART SYNDORME which might cause sudden Cardiac Death (SCD) Multiple Nuclei, giant Nuclei: Dilated cardiomyopathy of DCM - Alcohol of RCM - Amyloidosis of HOCM - Autosomal dominant, chromosome 14, b-myosin gene involved of Takotsubo Cardiomyopathy: Catecholamine toxicity of Arrhythmogenic R.V Dysplasia: Defect in Desmosomes, FIBRO-FATTY deposition in R.V